What is used as Emergency contraceptive?
1. MALA-N
2. 0.75 mg LNG
3. Copper T
4. All of the above

Correct answer: 4. All of the above

Explanation: Emergency contraceptives means = Post coital contraceptives 1 MALA - N, Combined OCP's 2 0.75 mg LNG 3 Copper T 4 POP's 5 RU 486 (Mifepristone) 6 High dose Estrogen 7 IUD